Nerve to pterygoid canal is formed from
1. Deep petrosal nerve + greater petrosal nerve
2. Facial nerve
3. Lesser superficial petrosal nerve
4. Lesser petrosal nerve

Correct answer: 1. Deep petrosal nerve + greater petrosal nerve

Explanation: In the anterior part of the foramen lacerum, the greater petrosal nerve unites with the deep petrosal nerve to form the nerve of the pterygoid canal which leaves the foramen by entering the pterygoid canal in the anterior wall of the foramen lacerum. Ref: BD Chaurasia's HUMAN ANATOMY, Volume 3, 4th edition.